Net secretion of K+ occurs in the:-
1. Duodenum
2. Jejunum
3. Ileum
4. Colon

Correct answer: 4. Colon

Explanation: Small intestine Colon Reabsorption of Na+, Cl-, K+, watersecretion of HCO-3 Reabsorption of Na+, Cl-, water secretion of K+, HCO-3